Pyruvate Dehydrogenase complex has all enzyme components EXCEPT:
1. Pyruvate Dehydrogenase
2. Dihydrolipoyl Transacetylase
3. Dihydrolipoyl Dehydrogenase
4. Pyruvate Decarboxylase

Correct answer: 4. Pyruvate Decarboxylase

Explanation: PDH complex has 3 enzyme components: 1. E1: Pyruvate Dehydrogenase 2. E2: Dihydrolipoyl Transacetylase 3. E3: Dihydrolipoyl Dehydrogenase REGULATION OF PDH End Product Inhibition Covalent Modification Acetyl CoA (in fasting) NADH Active in dephosphorylated state Done by Insulin